All are malignant tumors except -
1. Chloroma
2. Fibromatosis
3. Askins tumor
4. Liposarcoma

Correct answer: 2. Fibromatosis

Explanation: Fibromatosis are a group of fibroblastic proliferations having tendency to infiltrate. They are locally aggressive but do not metastasize. Basic Pathology, Robbins. Page no.: 793